All of the following are false about eye lid signs in GRAVES DISEASE except?
1. Stellwag's sign: Incomplete and infrequent blinking
2. Von Graefe's sign: lid retraction
3. Dalrymple sign: lid lag on downgaze
4. Mobius sign: difficulty in everting the upper lid

Correct answer: 1. Stellwag's sign: Incomplete and infrequent blinking

Explanation: - Following conditions are seen in patients of GRAVES DISEASE or HYPERTHYROIDISM. Upper eye lid signs Von graefe's sign- lid lag on downgaze Dalrymple's sign - lid retraction Stellwag's sign- incomplete & infrequent blinking Grove sign- resistance to pulling the retracted upper lid Boston sign- jerky movements of lid on down gaze Gellineck's sign- abnormal pigmentation of upper lid Gifford's sign- difficulty in everting the upper lid